Increase in temperature during first 2 hours after death is due to?
1. Massive hemorrhage
2. Cyanide poisoning
3. Organophosphorus poisoning
4. Septicemia

Correct answer: 4. Septicemia

Explanation: Ans. is 'd' i.e., septicemia Postmortem caloricitv is seen in1) Due to disturbed heat regidation : Sun-stroke (heat stroke), pontine hemorrhage.2) Due to heat production by muscular activity: Tetanus, strychnine poisoning, asphyxial death.3) Acute bacterial or viral infections : Pneumonia, septicemia, liver abscess, peritonitis, typhoid, nephritis, meningitis, cholera etc.4) Very high atmosphere temperature.